Normal conjunctival flora is-
1. E coli
2. Pseudomonas
3. Coagulase negative staphylococci
4. lactobacillus

Correct answer: 3. Coagulase negative staphylococci

Explanation: Staphylococcus epidermidis is an innocuous flora of lid and conjunctiva. It can also produce blepharo conjunctivitis Staphylococcus aureus is the most common cause of bacterial conjunctivitis and blepharoconjunctivitis. Ref: A K KHURANA COMPREHENSIVE OPHTALMOLOGY,E4,page-55